Which of the following is caused by congenital A-17 hydroxylase deficiency:
1. hypercalemia
2. Hyperkalemia
3. Hermaphroditism
4. Hypertension

Correct answer: 4. Hypertension

Explanation: 17 -hydroxylase (17 -OH) deficiency syndrome is a rare genetic disorder of steroid biosynthesis causing decreased production of glucocorticoids and sex steroids and increased synthesis of mineralocorticoid precursors. Reduced or absent levels of both gonadal and adrenal sex hormones result in sexual infantilism in 46, XX females and ambiguous genitalia in 46, XV males. Excessive mineralocorticoid activity produces varying degrees of hypertension Q and hypokalemia Q. Patients usually are diagnosed with this condition during an evaluation of delayed puberty. absent secondary sexual characteristics or primary amenorrhea. REF : OP-GHAI 9th edition